The shape of head of a Gates Glidden drill is
1. Flame shaped
2. Cone shaped
3. Ball shaped
4. Diamond shaped

Correct answer: 1. Flame shaped